Epley's maneuver is used in the treatment of
1. Positional vertigo
2. Otosclerosis
3. ASOM
4. CSOM

Correct answer: 1. Positional vertigo

Explanation: Epley`s maneuver is used in the treatment of Positional Vertigo (BPPV)Dix Hallpike`s test is the diagnostic testOther exercises are: Semont`s maneuver, Brandt Darrof exercisesSurgeries: Singular neurectomy, Posterior canal occlusion, Labyrinthectomy, Vestibular nerve sectionRef: Hazarika; 3rd edition; Page no: 108